Beta-adrenoceptor blocking agent that should be avoided in patients with renal failure is ?
1. Atenolol
2. Metoprolol
3. Propranolol
4. Esmolol

Correct answer: 1. Atenolol

Explanation: Ans. is 'a' i.e., Atenolol